All are true about Ganser's syndrome except
1. Approximate answer
2. Apparent clouding of consciousness
3. Only found in prisoners
4. Hallucinations

Correct answer: 3. Only found in prisoners

Explanation: C i.e. Only found in prisoners Ganser's syndrome (Hysterical Pseudodementia) The syndrome was first described among prisoners but is not confined to themQ. It is very rare condition with four features: 1. Giving 'approximate answers' (Vorbeireden) Q to questions designed to test, intellectual functions. Psychogenic physical symptoms 3. HallucinationsQ 4. Apparent clouding of consciousnessQ The term 'approximate answers' denotes answers (to simple questions) that are plainly wrong but are clearly related to the correct answers in a way that suggests that the latter is known. For example, when asked to add two, and two a patient might answer five, while to three plus three he might answer seven. The answers are wrong but show that the person understands the nature of question asked. For example, when shown a red pen, patient calls it blue. The obvious advantage to be gained from the condition, coupled with the approximate answers suggest malingering. However, the condition is maintained so consistently that unconscious mental mechanisms have been thought to play a part.